Sense organ which is having efferent supply
1. Golgi tendon organ
2. Organ of corti
3. Retina
4. Taste bud

Correct answer: 2. Organ of corti

Explanation: Ans. is 'b i.e., Organ of cortiAfferent (sensory) neurons carry information form sense organs to CNS (brain & spinal cord).Hair cells (in organ of corti) are the sensory recepors which are also innervated by efferent neurons.